In the perspective of the busy life schedule in the modern society, the accepted minimum period of sexual cohabilitation resulting in no offspring for a couple to be declared infertile is:
1. One year
2. One and a half - year
3. Two years
4. Three years

Correct answer: 1. One year

Explanation: If a couple fails to achieve pregnancy after one year of “unprotected” and regular intercourse, it is an indication to investigate the couple for infertility.
• Infertility:
– Primary : When no previous pregnancies have occurred.
– Secondary : When a prior pregnancy although not necessary although not necessary a live birth, has occurred.